The term universal tumor refers to:
1. Adenoma
2. Papilloma
3. Fibroma
4. Lipoma

Correct answer: 4. Lipoma

Explanation: Lipomas are most common SUBCUTANEOUS LIPOMAS Also known as UNIVERSAL TUMOUR MC site: Trunk BRACKET CALCIFICATION is seen in lipoma of corpus callosum SURGICAL EXCISION is required for removal